Munson's sign is seen in:
1. Keratoconus
2. Keratoglobus
3. Microcornea
4. All

Correct answer: 1. Keratoconus

Explanation: Ans. Keratoconus